The best irrigating fluid during ECCE is?
1. Ringer lactate
2. Normal saline
3. Balanced salt solution
4. Balanced salt solution + glutathione

Correct answer: 4. Balanced salt solution + glutathione

Explanation: D i.e. Balanced salt solution plus glutathionine Balanced Salt Solution Plus Glutathionine or BBS Plus is the best irrigating fluid for ECCE Q as it is protective to corneal endothelium. Unlike BSS, BSS plus is physiologically similar to human aqueous and vitreous and maintain endothelial cell function.